Which is an acidic amino acid?
1. Asparagine
2. Glutamine
3. Aspartate
4. Glycine

Correct answer: 3. Aspartate

Explanation: Ans. is 'c' i.e., Aspartate * Neutral amino acids: Alanine, asparagine, cysteine, glycine, glutamine, isoleucine, leucine, methionine, proline, phenylalanine, serine, threonine, tyrosine, tryptophan, valine.* Acidic amino acids (negatively charged or anion) : Aspartic acid (aspartate), glutamic acid (glutamate).* Basic amino acids (positively charged or cation) : Arginine, histidine, lysine.